Most common cause of generalised peritonitis in a 40 year old adult male is -
1. Enteric perforation
2. Ruptured liver abscess
3. Duodenal Ulcer perforation
4. Perforated Ca stomach

Correct answer: 3. Duodenal Ulcer perforation